What is the actual intention of doing sentinel surveillance?
1. To know the total number of cases
2. For health planning
3. To know the natural history of the disease
4. To prevent the disease

Correct answer: 1. To know the total number of cases

Explanation: Sentinel surveillance A method for identifying the missing cases and thereby supplementing the notified case is required Sentinel surveillance is extrapolated to the entire population to estimate the disease prevalence in the total population(Refer: K. Park's Textbook of Preventive and Social Medicine, 24th edition, pg no: 45)